Phildalphia chromosome is mostly seen in:
1. CML
2. Leukemoid reaction
3. Eosinophilia
4. Malaria

Correct answer: 1. CML

Explanation: CML